The maximum flow of inlay wax at 37°C is
1. 0.50%
2. 1%
3. 1.50%
4. 2%

Correct answer: 2. 1%